Water content In lens is -
1. 64%
2. 35%
3. 1%
4. 28%

Correct answer: 1. 64%

Explanation: The lens is composed of 64% water, 35% protein, and 1% lipid, carbohydrate and trace elements.